Longest transit time in GIT is seen in
1. Stomach
2. Jejunum
3. Colon
4. Ileum

Correct answer: 3. Colon

Explanation: The transit time for Cecum- 4hrs, the first third of the colon -6hrs, the second third of the colon-9hrs, sigmoid colon-12hrs Ref: Ganong 25th ed/page 499